Recommendation for exclusive feeding is up to:
1. 3 months
2. 4 months
3. 5 months
4. 6 months

Correct answer: 4. 6 months

Explanation: Ans. (d) 6 monthsRef : OP Ghai 8th ed./150* Exclusive breast feeding is up to 6 months and should be continued uptil 2 years.* Prelacteal feeds like water, honey, and so called health tonics are contraindicated in children less than 6 months of age.